Nail pitting is caused by all except -
1. Lichen planus
2. Psoriasis
3. Alopecia areata
4. Pityriasis Rosacea

Correct answer: 4. Pityriasis Rosacea

Explanation: Nail involvement is common in alopecia areata, particularly in severe forms. Pitting is the most common finding, but other abnormalities such as trachyonychia have been reported. Nail plate pitting tends to be more shallow and regularly spaced than in psori-atic nail pitting Nail pitting is often a sign of another condition that can include: psoriasis, which causes skin inflammation. reactive arthritis or inflammation caused by an infection elsewhere. alopecia areata, which causes temporary bald patches on the scalp. Ref Harrison20th edition pg 1278